Acromegaly is due to excess of:
1. Somatomedin
2. Growth hormone
3. Somatostation
4. Insulin

Correct answer: 2. Growth hormone

Explanation: Ans. (b) Growth hormone(Ref: Ganong, 25th ed/p325.)Excess levels of growth hormone causes Gigantism (before the closure of epiphysis) and Acromegaly (After the closure of epiphysis)